Blount's disease is associated with all of the following, EXCEPT:
1. Genu varum
2. Genu Recurvatum
3. Internal Tibial Torsion
4. External Tibial Torsion

Correct answer: 4. External Tibial Torsion

Explanation: Blount's disease is characterized by varus and internal tibial torsion and genu recurvatum, with varus of the proximal tibia being the primary deformity. It is not associated with external tibial torsion. Ref: Operative techniques in pediatric orthopedics, by John M.Flynn, Sam W.Wiesel, Page 205, 206.